Patients with chronic pancreatitis gives chain of lakes appearance in ERCP examination. Management is
1. Total pancreatectomy
2. Sphicteroplasty
3. Side to side pancteaticojejunostomy
4. Resecting the tail of pancreas and performing a pancteaticojejunostomy

Correct answer: 3. Side to side pancteaticojejunostomy

Explanation: Surgical procedures in chronic pancreatitis Ideal procedure : DPPHR(Beger's procedure) In presence of portal vein thrombosis : Frey's Small duct disease : V- Shaped excision Disease recurrence in body and tail (after DPPHR, Whipple's or Longmire-Transverso procedure) : V-shaped drainage Disease limited to tail: Spleen - preserving distal pancreatectomy Ref: Sabiston 20th edition Pgno :1535